After blood staining the cornea may look as:
1. Reddish brown in colour
2. Greenish in colour
3. Like a clear lens dislocated into the anterior chamber
4. Any of the above

Correct answer: 4. Any of the above

Explanation: Ans. Any of the above